People are separated into groups, from each group people are selected randomly. What type of sampling is this -
1. Simple random
2. Stratified random
3. Systemic random
4. Cluster

Correct answer: 2. Stratified random